Which of the following statement regarding actinomycosis is false?
1. Penicillin G is effective in treatment
2. Actinomyces Israeli is the causative organism
3. Presence of sulphur granules in pus
4. None of the above

Correct answer: 4. None of the above

Explanation: Actinomycosis is caused by A. Israeli a gram positive filamentous anaerobic bacteria which grows as fluff balls at the bottom of the culture tube. Actinomycosis appear as hard, non tender swelling that develop slowly and drain pus through sinus tracts. Penicillin G with surgical drainage is the treatment of choice.